FSH and ICSH play important role in ovulatory cycle in females of reproductive age group. They are produced from:
1. Ovarian follicles
2. Adenohypophysis
3. Corpus luteum
4. Endometrium

Correct answer: 2. Adenohypophysis

Explanation: Gonadotrope cells constitute about 10% of anterior pituitary cells and produce two gonadotropins--LH and FSH. LH is also known as interstitial cell stimulating hormone (ICSH). Like TSH and hCG, LH and FSH are glycoprotein hormones that consist of alpha and beta subunits. Hypothalamic GnRH, a 10-amino-acid peptide, regulates the synthesis and secretion of both LH and FSH. FSH synthesis is also under separate control by the gonadal peptides inhibin and activin, which are members of the transforming growth factor beta (TGF-beta) family. Inhibin selectively suppresses FSH, whereas activin stimulates FSH synthesis. Ref: Melmed S., Jameson J.L. (2012). Chapter 339. Disorders of the Anterior Pituitary and Hypothalamus. In D.L. Longo, A.S. Fauci, D.L. Kasper, S.L. Hauser, J.L. Jameson, J. Loscalzo (Eds), Harrison's Principles of Internal Medicine, 18e.